Screening for which carcinoma is beneficial ?
1. Carcinoma cervix
2. Lung carcinoma
3. Stomach carcinoma
4. None

Correct answer: 1. Carcinoma cervix

Explanation: Ans. is 'a' i.e., Carcinoma cervix